Treatment of choice for laryngeal carcinoma of glottis extending to supraglottic region with vocal cord fixation with papable solitary ipsilateral lymph node is ?
1. Conservative laryngectomy
2. Total laryngectomy
3. Total laryngectomy with radical neck dissection
4. Palliative therapy

Correct answer: 3. Total laryngectomy with radical neck dissection

Explanation: Patient with with glottis carcinoma extending to the supra glottis region along with vocal cord fixation (bad prognostic sign; involvement of thyroarytenoid muscle) belongs to T3 stage og glottis carcinoma Single ipsilateral lymph node of 2 cm size signifies N1 nodal status And there is no evidence of distal metastases so MO This patient belongs to T3N1 MO. Treatment of choice in such patient is total laryngectomy with radical neck dissection. STAGING OF LARYNX CANCER Treatment of larynx cancer depends upon the stage of the tumor. Therefore, one should know the TNM staging (TNM classification) of large cancer.